RNA with ENZYMATIC ACTIVITY
1. Peptidase
2. Peptidyl transferase
3. Cytidine deaminase
4. Aminoacyl tRNA Synthetase

Correct answer: 2. Peptidyl transferase

Explanation: In addition to the catalytic action served by the snRNAs in the formation of mRNA, several other enzymatic functions have been attributed to RNA. Ribozymes are RNA molecules with catalytic activity. These generally involve transesterification reactions, and most are concerned with RNA metabolism (splicing and endoribonuclease). Recently, a rRNA component has been implicated in hydrolyzing an aminoacyl ester and thus to play a central role in peptide bond function (peptidyl transferases). These observations, made using RNA molecules derived from the organelles from plants, yeast, viruses, and higher eukaryotic cells, show that RNA can act as an enzyme, and have revolutionized thinking about enzyme action and the origin of life itself.